Which of the following are large, granular lymphoid cells that are mediators of antibody- dependent cellular cytotoxicity?
1. macrophages
2. natural killer (NK) cells
3. T lymphocytes, suppressor subset
4. B lymphocytes

Correct answer: 2. natural killer (NK) cells

Explanation: NK cells may be of T-cell lineage or monocyte-macrophage lineage. They appear to play an important role in surveillance mechanisms.